Prehn sign is positive in -
1. Acute epidydimoorchitis
2. Chronic orchitis
3. Testicular torsion
4. None

Correct answer: 1. Acute epidydimoorchitis

Explanation: Ans. is 'a' i.e., Acute epidydimoorchitis Prehn's sign on elevation of testis the:* pain is not relieved in torsion (test is negative)* pain relieved in epidydimoorchitis (test is positive)